Route of administration of vancomycin in pseudomembranous colitis is -
1. i.m.
2. Oral
3. i.v.
4. s.c.

Correct answer: 2. Oral

Explanation: Ans. is 'b' i.e., Oral